Alkaline Nasal Douche does not contain
1. Sodium chloride
2. Sodium bicarbonate
3. Sodium biborate
4. Trisodium citrate

Correct answer: 4. Trisodium citrate